Insulin synthesis is stimulated by glucose levels above
1. 30 mg%
2. 40 mg%
3. 50 mg%
4. 70 mg%

Correct answer: 4. 70 mg%

Explanation: Glucose levels >70 mg/dL stimulate insulin synthesis, primarily by enhancing protein translation and processing.Glucose stimulation of insulin secretion begins with its transport into the beta cell by a facilitative glucose transporter. Glucose phosphorylation by glucokinase is the rate-limiting step that controls glucose-regulated insulin secretion.Ref: Harrison 19e pg: 2402